Setting time of MTA is:
1. 60 + - 5 minutes
2. 120 + - 5 minutes
3. 165 + - 5 minutes
4. 30 + - 5 minutes

Correct answer: 3. 165 + - 5 minutes

Explanation: Mineral trioxide aggregate (MTA) was developed by Dr Torabinejad.
Setting time is 2 hours and 45 minutes.
Ref : Textbook of endodontics, Nisha Garg and Amit Garg, 3rd edition, pg no:551